All are true about hepatic adenoma Except
1. Usually multiple
2. OCP is predisposing factor
3. Has cords of benign hepatocytes
4. 50-75% are symptomatic

Correct answer: 1. Usually multiple

Explanation: Hepatic adenoma Benign proliferative disorder of hepatocytes Predominantly found in young women (20-40yrs) associated with OCP's Usually single (multiple lesions in 12-30 %) Ref: Sabiston 20th edition Pgno :1455